In pregnancy with increased MSAFP which of the following should be done :
1. Repeat measurement of MSAFP at later date
2. USG
3. Amniocentesis
4. Termination of pregnancy

Correct answer: 2. USG

Explanation: Ans. is b i.e. USG "MSAFP values above 2.5 mom are considered abnormal. When a patient has an elevated MSAFP level, an ultrasound examination should be performed. This need not be a level scan. The reason for this examination is that it can detect several of the most common non genetic reasons causing high MSAFP values."